Mercury poisoning is characterized by all EXCEPT:
1. Tremor
2. K F ring
3. Anterior lens capsule deposits
4. pink disease

Correct answer: 2. K F ring

Explanation: Kayser-Fleischer Ring: Seen in Copper poisoning Sign: Brownish-yellow ring visible around the corneo-scleral junction(limbus). Cause: Deposition of copper in Descemet's membrane, extending into the trabecular meshwork. First appears at the superior pole, then develops inferiorly and ultimately becomes circumferential. Detected by slit lamp examination in early stages.